Which of the following defense mechanisms are seen in obsessive compulsive disorder
 i) Reaction formation 
 ii) Undoing 
 iii) Dissociation 
 iv) Isolation of affect
1. All are present
2. I, II, & III are present
3. I, II & IV are present
4. II & IV are present

Correct answer: 3. I, II & IV are present

Explanation: Reaction formation, Undoing, Isolational affect, Displacement and Inhibition are the defense mechanisms associated with obsessive compulsive disorder.
Dissociation is seen with Dissociative disorders.